Which of the following is the most abundant protein in animal world?
1. Keratin
2. Elastin
3. Collagen
4. None of the above

Correct answer: 3. Collagen

Explanation: Collagen is the most common protein in the animal world, providing the extracellular framework for all multicellular organisms. Ref: Robbins 8th edition Chapter 3.